Mallampatti classification is used for?
1. Inspection of oral cavity before intubation
2. Size of the airway
3. Size of the ET tube
4. Tracheostomy tube

Correct answer: 1. Inspection of oral cavity before intubation

Explanation: ANSWER: (A) Inspection of oral cavity before intubationREF: Morgan 3rd ed p. 82In anaesthesiology, the Mallampatti score, also Mallampatti classification is used to predict the ease of intubation. It is determined by looking at the anatomy of the oral cavity; specifically, it is based on the visibility of the base of uvula, faucial pillars (the arches in front of and behind the tonsils) and soft palate.Class 1Class 11Class IIIClass (V Class 0Visibility of EpiglottisNo difficultyClass 1Full visibility of tonsils, uvula and soft palateNo difficultyClass 2Visibility of hard and soft palate, upper portion of tonsils and uvulaNo difficultyClass 3Soft and hard palate and base of the uvula are visibleModerate difficultyClass 4Only Hard Palate visibleSevere difficulty